Xiphoid process fuses with body of sternum by:
1. 10 years
2. 20 years
3. 30 years
4. 40 years

Correct answer: 4. 40 years

Explanation: 40 years